Molotov cocktail is:
1. Mixture device of bomb
2. Simple petrol bomb thrown by hand
3. Molotov, foreign minister of Russia died after having the cocktail
4. Type of tank

Correct answer: 2. Simple petrol bomb thrown by hand

Explanation: Ans. Simple petrol bomb thrown by hand